A 20-year-old male presents with throat pain and easy fatigability of his voice. Indirect laryngeal examination revealed both cords approximately well but leaving a triangular gap in the interarytenoid. Your diagnosis is:
1. Mutational falsetto voice
2. Functional aphonia
3. Ventricular dysphonia
4. Phonasthenia

Correct answer: 4. Phonasthenia

Explanation: In phonasthenia there is weakness of laryngeal muscles due to inflammation (laryngitis) or overuse or abuse of voice. If both thyroarytenoid muscles are affected vocal cords leave an elliptical space between them and do not approximate; but when only interarytenoid muscles are affected, there is a triangular gap in posterior larynx as in the case above. In case of weakness of both thyroarytenoid and interarytenoid, glottis gives a "key-hole appearance."Mutational falsetto voice or puberphonia is seen in male adolescents when voice character is changing from high-pitched voice of the child to a low-pitched one of the adult male.In ventricular dysphonia false cords (ventricular bands) usurp the function of true cords. Voice is produced by approximation of false cords and is rough. Ventricular bands also obstruct the view of true cords on indirect laryngoscopy.Mogiphonia is a psychoneurotic condition in which vocal cords are firmly pressed together after uttering a few words and no further sound can be produced. It occurs when trying to speak or sing in public but disappears entirely in normal conversation.